Waterlow classification of malnutrition in children takes into account:
1. Weight for height (wasting)
2. Height for age (stunting)
3. Weight for height (wasting) and height for age (stunting)
4. Percent of reference weight for age

Correct answer: 3. Weight for height (wasting) and height for age (stunting)

Explanation: c. Weight for height (wasting) and height for age (stunting)(Ref: Nelson's 20/e p 295-306, Ghai 8/e p 96-107)Gomez CriteriaWaterlow CriteriaGrade of malnutritionWeight for age (%)Weight for height (%)Height for age (%)Normal90-11090-110>95Mild75-8980-8990-94Moderate60-7470-7985-89Severe<60<70<85